In HIV, gp120, envelope glycoproteins bind specifically to?
1. CD8 T-cells
2. CD4 T-cells
3. B-cells
4. NK cells

Correct answer: 2. CD4 T-cells

Explanation: Ans. b (CD4 T-cells). (Ref. Textbook of Microbiology by Ananthnarayan, 7th/586)# Genome of HIV contains 3 structural genes - gag, pol and env.# Gag determines core and shell of virus, expressed as P55.# Env determines synthesis of envelope glycoprotein gp 160, which is cleaved into 2 envelope components - gpl20 which forms surface spines and gp4.# gp 120 is major envelope ag and ab to gp are present in circulation till terminal stage of infection.# Pol gene codes for polymerase reverse transcriptase.Educational table: MicroorganismType of Microbial ligandHost receptor1Viral PathogensHemagglutininSialic acid2Influenza virusHemagglutininCD46/moesin3Measles virusHemagglutininSignalling lymphocytic activation molecule (SLAM)4Human herpes virus type 6?CD465Herpes simplex virusGlycoprotein CHeparin sulphate6HIVSurface glycoproteinCD4 and chemokine receptors (CCR5 and CXCR4)7Epstein - Barr virusEnvelope proteinCD21 (=CR2)8AdenovirusFiber proteinCoxsackie-adenovirus receptor (CAR)9CoxsackievirusFiber proteinCAR and major histocompatibility class 1 antigensBacterial pathogens1Neisseria speciesPiliMembrane cofactor protein (CD46)2Pseudomonas aeruginosaPili and flagellaLipopolysaccharideAsialo-GMICystic fibrosis transmembrane conductance regulator(CFTR)3Escherichia coliPiliCeramides/ mannose and digalactosyl residues4Yersinia spp.Invasin/accessory invasinB1 Integrins locus5Bordetella pertusisFilamentous hemagglutininCR36Legionella pneumophilaAbsorbedC3bi CR37Mycobacterium tuberculosisAbsorbed C3biCR3Fungal pathogens1Blastomyces dermatiridisWI-lPossibly matrix proteins and integrins2Candida albicansInt1pExtracellular matrix proteinsProtozoal pathogens1Plasmodium vivaxMerozoite formDuffy Fy antigen2Plasmadium falciparumEBA-175Glycophorin A3Entamoeba histolyticaSurface lectinN-acetylglucosamine